Under the national population policy 2000, it is aimed to reduce the maternal mortality ratio to below
1. 100 per 1,00,000 live births
2. 200 per 1,00,000 live births
3. 300 per 1,00,000 live births
4. 500 per 1,00,000 live births

Correct answer: 1. 100 per 1,00,000 live births

Explanation: Reduce the infant mortality rate to below 30 per 1,000 live births;Reduce the maternal mortality ratio to below 100 per 100,000 live births